Transfer of a portion of DNA from one bacterium to another by the bacteriophage is known as
1. Transformation
2. Transduction
3. Transcription
4. Lysogenic conversion

Correct answer: 2. Transduction

Explanation: Transduction -Transfer of a portion of DNA from one bacteria to another by transduction phase.